Which of the following is absorbed in the proximal intestine-
1. Iron
2. Electrolytes
3. Bile salts
4. Vitamin B12

Correct answer: 1. Iron

Explanation: A i.e. Iron